Sclerotic bodies are present in
1. Mycetoma
2. Chromoblastomycosis
3. Sporotrichosis
4. Rhinosporidiasis 565

Correct answer: 2. Chromoblastomycosis

Explanation: Chromoblastomycosis- sclerotic bodies-yeast like bodies with septae. they can be demonstrated in KOH mount. Ref: Baveja 5th ed pg: 551